Mucous glands are absent in
1. Cervix
2. Esophagus
3. Vagina
4. Duodenum

Correct answer: 3. Vagina

Explanation: INDERBIR SINGH'S TEXTBOOK OF HUMAN HISTOLOGY-PAGE NO:359 Vagina Mucous membrane The epithelium rests on dense connective tissue that is highly vascular,many veins being present .the tissue is rich in elastic fibres.no glands are seen in the mucosa,the vaginal surface being kept moist by the secretions if glands in the cervix of the uterus